M.C. cause of Nongonococcal Urethritis
1. Chlamydia
2. Mycoplasma
3. Trichomonas
4. Gram negative rod

Correct answer: 1. Chlamydia

Explanation: A i.e. Chlamydia